All of the following are founding members of vision 2020 except -
1. WHO
2. UNICEF
3. ORBIS
4. International Agency For Prevention Blindness

Correct answer: 2. UNICEF

Explanation: Ans. is 'b' i.e., UNICEF